Wuchereria bancrofti, true is -
1. Unsheathed
2. Tail tip free from nuclei
3. Non-periodic
4. All

Correct answer: 2. Tail tip free from nuclei